All are branches of the posterior division of the mandibular nerve except:
1. Lingual nerve
2. Inferior alveolar nerve
3. Deep temporal nerve
4. Mylohyoid nerve

Correct answer: 3. Deep temporal nerve